Which of the following is least seen in uterine fibroid
1. Hyaline degeneration
2. Sarcomatous change
3. Red degeneration
4. Fatty degeneration

Correct answer: 2. Sarcomatous change

Explanation: Ans. b. Sarcomatous change . The risk of sarcoma developing in a fibroid uterus is approximately 0.5% (Least common secondary change). Secondary Changes in Fibroid Hyaline degeneration: MC change, more common in central portionQ Cystic degeneration (after menopause) Fatty degeneration (after menopause) Calcareous degeneration (after menopause) Atrophydeg (after menopause) Red degenerationdeg (2' half of pregnancy) Sarcomatous change: Least common changeQ Incidence 0.5% of all fibroids More common in intramural and submucous fibroids